Polyuria is feature of all of the following except -
1. Hypocalcemia
2. Hypokalemia
3. Lithium toxicity
4. ADH deficiency

Correct answer: 1. Hypocalcemia